A 60 - year - old male diabetic and hypertensive patient was found unconscious in the morning. On examination pulse - 120/min, bp-160/100 mm Hg and bilateral extensor plantars are elicited. . What is next step to be done for management?
1. Order CT scan
2. Check blood glucose
3. Give Intravenous mannitol
4. Immediately reduces by with antihypertensives

Correct answer: 2. Check blood glucose

Explanation: "In any unconscious diabetic patient first evaluate the CNS event Capillary Blood sugar and urinary ketones of patient" Option a - CT scan to evaluate damage, Hypertensive encephalopathy, stroke,cerebrovascular accident. Option b - If question asked Next step, patient is Diabetic, unconscious so it could be a simple hypoglycemia then he could have seizure, resulted in extensor planter in patient he could be in post ictal deficit. Option c - Ruled out because there is no evidence of raised ICP Raised ICP - | HR with | BP Mannitol is given for Cushing reflex, papilledema, Ventricular dilation. Option d- No immediate reduction of BP with other antihypertension. Conceptual permissive Hypertension Keep the BP on the higher side in patient with CNS events because that maintain the perfusion of brain. Cerebral perfusion pressure= Mean Arterial pressure-ICP If we | MAP the perfusion of brain will also reduce. CPP=MAP-ICP